The covering over an omphalocele is
1. Skin
2. Amniotic membrane
3. Chorionic membrane
4. None of the above

Correct answer: 2. Amniotic membrane

Explanation: The covering is made up of 2 layers - an outer layer of amniotic membrane & an inner layer of peritoneum.